Which is long acting glucocarticoid-
1. Hydrocartisone
2. Prednisolone
3. Cortisol
4. Dexamethasone

Correct answer: 4. Dexamethasone

Explanation: Ans. is 'd' i.e., Dexamethasone o Short acting glucocorticoids (t 1/2 : 8-12 hrs.) : Cortisol, hydrocortisone.o Intermediate acting glucocorticoids (t 1/2 : 12-36 hrs.) : Prednisolone, methylprednisolone, triamcinoloneo Long acting glucocorticoids (t 1/2 : 36-54 hrs.) : Dexamethasone ,betamethasone.